True about complete mole is
1. Karyotype is 69,XXY
2. hcG Levels are < 100,000 mIU / mL
3. Marked trophoblast atypia
4. p57kIP2 immunostaining positive

Correct answer: 3. Marked trophoblast atypia

Explanation: Marked trophoblast atypia is a feature of complete mole, while the rest are seen in partial mole.